In which of the following has genome double stranded nucleic acid -a) Orthomyxovirusesb) Poxvirusesc) Parvovirusesd) Reoviruses
1. cd
2. bc
3. bd
4. ac

Correct answer: 3. bd

Explanation: All DNA viruses have double stranded nucleic acid except for Parvovirus, which has single stranded DNA.
All RNA viruses have single stranded nucleic acid except for Reoviridae (Rotavirus, Reovirus), which has double stranded RNA.